Knee joint pain in a deep-sea diver is due to
1. Increased O2
2. Increased CO2
3. Increased N2O
4. Increased N2

Correct answer: 4. Increased N2

Explanation: It is due to decompression sickness In case of deep sea divers ,the nitrogen gets converted to liquid form due to high pressure When the diver comes out of the water suddenly, the nitrogen in liquid form suddenly converts into gas,producing nerve compresses etc Ref:Guyton and Hall textbook of medical physiology 12th edition,page number:382,383,384